Preventive resin restorations are indicated in ?
1. Non-cavitated pit and fissures
2. Deep caries to prevent progress of lesion
3. Cavitated fissures which require restoration
4. Wide cavity to prevent cusp fracture

Correct answer: 3. Cavitated fissures which require restoration